Which of the following is a drug of choice for treatment of Obsessive Compulsive Disorder (OCD) in adults?
1. Imipramine
2. Fluoxetine
3. Chlopromazine
4. Benzodiazepine

Correct answer: 2. Fluoxetine

Explanation: The selective serotonin reuptake inhibitors (SSRIs) are now considered to be first-line drug treatments in the management of obsessive compulsive disorder. Fluoxetine is the drug of choice. The doses are usually higher than for anti-depressant action. Clomipramine is still considered as a good option when fluoxetine does not work. Clomipramine has the most specific seratoninergic effects among the Tricyclic Antidepressants (TCAs). Ref: Kaplan & Sadock's Synopsis of Psychiatry 9 Edition, Page 622-23, 209; Harrison's Principles of Internal Medicine 16th Edition, Page 2552; A Short Textbook of Psychiatry by Neeraj Ahuja, 8th Edition, Page 100